Punishment for kidnapping under which section
1. 360IPC
2. 361IPC
3. 362IPC
4. 363IPC

Correct answer: 4. 363IPC

Explanation: Punishment for kidnapping under section 363IPC * 360 IPC-kidnapping from India *361 IPC-kidnapping from guardianship *362 IPC -abduction *363 IPC-Punishmnennt for kidnapping 370 IPC-trafficking a person 370 A IPC-exploitation of trafficked person 372-sending minor for purpose of prostitution 373-buying minor for prostitution Reference:The essentials of Forensic medicine and toxicology PG no 295